The barrel is scored internally with a number of shallow spiral grroves, called
1. Rifling
2. Choking
3. Blackening
4. Tattooing

Correct answer: 1. Rifling

Explanation: Rifles The barrel is scored internally with a number of shallow spiral grooves varying from 4-7 and most commonly 6. These grooves are called rifling. Ref: FORENSIC MEDICINE AND TOXICOLOGY Dr PC IGNATIUS THIRD EDITION PAGE 136